Chikungunya is transmitted by
1. Aedes
2. Culex
3. Mansonoides
4. Anopheles

Correct answer: 1. Aedes

Explanation: Aedes aegypti primarily, also Culex and Mansonia transmit Chikungunya